Optic atrophy may occur in all of the following conditions, EXCEPT:
1. Glaucoma
2. Leprosy
3. Pituitary tumor
4. Methanol intake

Correct answer: 2. Leprosy

Explanation: Optic atrophy refers to optic nerve shrinkage from any cause which damages the axons between the retinal ganglion cells and lateral geniculate body. Pressure and tractional optic atrophy is seen in post papilledema, glaucomatous and tumors of the optic nerve in the orbit or cranium. Toxic atrophy can occur secondary to exogenous poisons such as tobacco, alcohol, arsenic and lead. Secondary optic atrophy occur following pathologic process which produces optic neuritis or papilledema. Ref: Textbook of Ophthalmology edited by Sunita Agarwal, page 371.